3rd stage of demography indicates
1. High birth rate and high death rate
2. Death rate begins to decline
3. While the birth rate remains unchange
4. Birth rate tends to fall and death rate declines still further

Correct answer: 4. Birth rate tends to fall and death rate declines still further

Explanation: Death rate declines still further and the birth rate tend to fall in third stage of demographic cycle or late expanding stage, but the population continue to grow as births exceeds death. India has entered this phase. Reference : Park's textbook of preventive and social medicine, 23rd edition, pg no: 479